Floating water lilly sign on chest x-ray is characteristic of-
1. Hydatid cyst
2. Lung abscess.
3. Empyema thoracis
4. Ruptured amebic liver abscess

Correct answer: 1. Hydatid cyst

Explanation: Ans. is 'a' i.e., Hydatid cyst o Floatine Water Lily Sien on Chest X-ray is characteristic sien of pulmonary cvstic echinococcosis or pulmonary hvdatid cvst.o It is seen when there is detachment of the endocystmembrane which results in floating membranes within the pericyst that mimics the appearance of water lily.